Most important hormone for gallbladder contraction to release bile
1. Secretion
2. CCK
3. VIP
4. Gastrin

Correct answer: 2. CCK

Explanation: This peptide hormone induces gallbladder contraction and the release of pancreatic enzymes in the gut. Ref: guyton and hall textbook of medical physiology 12th edition page number:421,422,423